Laudanosine is a metabolite of -
1. Mivacurium
2. Atracurium
3. Pancuronium
4. Gantacurium

Correct answer: 2. Atracurium

Explanation: Ans. is 'b' i.e., Atracurium Atracurium* It is a bisquarternary competitive blocker, 4 times less potent than pancuronium.* Unique feature is its inactivation in plasma by spontaneous non - enzymatic degradation called as Hoffman elimination.Following degradation it produces a metabolite - laudanosine.* Metabolite Laudanosine may induce seizures in some patients.